Occlusion of which of the following blood vessels can result in hemiplegia?
1. Anterior cerebral artery
2. Middle cerebral artery
3. Posterior cerebral artery
4. Posterior communicating artery

Correct answer: 2. Middle cerebral artery

Explanation: Middle cerebral artery occlusion results in contralateral hemiplegia, hemisensory loss and homonymous hemianopia with eyes deviated to the side of the lesion. It can laso result in global aphasia when the dominant hemisphere is involved. Anterior cerebral artery involvement is associated with brachiofacial monoplegia and urinary disturbances. Reference: Current Medical Diagnosis and Treatment 2013 chapter 24.